In a patient with urethral syndrome, urine microscopy shows full of polymorph, but no bacteria. The most appropriate culture medium is__
1. PPLO broth
2. McCoy cells
3. Robertson's cooked meat
4. Thayer martin agar

Correct answer: 2. McCoy cells

Explanation: The clinical picture is suggestive of Chlamydial infection hence the most appropriate culture medium is McCoy cells(human synovial carcinoma cell line). Abnormal urethral Gram's stains showing >10 PMNs/1000A~ field in women with dysuria but without coliform bacteriuria support the diagnosis of chlamydial urethritis. Thayer-Martin agar: Neisseria Robertson's cooked meat: Anaerobes, especially Clostridia Pleuropneumonia-like organisms (PPLO) broth: Mycoplasma spp. and Ureaplasma spp. Reference: Ananthanarayan and Paniker's Textbook of Microbiology Tenth edition